Which of the following amino acid contains free sulphydryl group -
1. Cysteine
2. Methionine
3. Serine
4. Glycine

Correct answer: 1. Cysteine

Explanation: Ans. is 'a' i.e., Cysteine o There are two sulfur containing amino acids :-i) Cysteineii) Methionineo The side chain of cysteine contains sulfhydryl group that has a pKa of approximately 8.4 for dissociation of its hydrogen sulfhydryl groups of two cystein molecules can form covalent disulfide bond to form cystineo Methionine although it contains sulfur group, does not containt sulfhydryl group and cannot form disulfide bond.